The following condition is not associated with an increased anion-gap type of metabolic acidosis?
1. Shock
2. Ingestion of ante-freeze
3. Diabetic ketoacidosis
4. COPD

Correct answer: 4. COPD

Explanation: In COPD blood pH is usually maintained within the normal range in spite of increased PaCO2 because of renal compensation which leads to retention of bicarbonatesRef: Harrison's 18/e p369